Hymen tear in virgin is most commonly located at?
1. 4 - 8 O'clock
2. 5 - 11 O'clock
3. 9 - 12 O'clock
4. 1 - 6 O'clock

Correct answer: 1. 4 - 8 O'clock

Explanation: Ans. is 'a' i.e., 4 - 8 O'clock Hymen Hymen is a thin, firm fold of mucous membrane present at vaginal orifice. It usually has one opening, which hardly admits the tip of the little finger in a virgin. Hymen is like a tight stretched membrane. The usual shape is annular or semilunar, that is, cresentric with the broader part lying posteriorly. It may be imperforate, leaving no opening; cribriformhaving a number of small opening or septate having two opening. Hymen usually ruptures at the time of first sexual intercourse and usually ruptures posterolaterally(4 or 8 0' clock or 5 or 7 0' clock position) or posteriorly (6 O'clock position).